One of the following forms the basis for chromatin testing?
1. Barr body
2. Testosterone receptors
3. Hormone levels
4. Phenotypic features

Correct answer: 1. Barr body

Explanation: Ans. a. Barr body